QT interval is shortened in-
1. Hypocalcaemia
2. Hypokalemia
3. Hypercalcemia
4. Hyperkalemia

Correct answer: 3. Hypercalcemia

Explanation: only in hypercalcemia QT interval is shortened in the other 3 QT interval is prolonged Hypercalcemia: The most common ECG findings of hypercalcemia are a short QT interval secondary to a shortened ST segment. There may also be a widened or flattened T wave; however, significant hypercalcemia can cause ECG changes that mimic an acute myocardial infarction. Ref Harrison 20th edition pg 1556